Which of the following defines ARDS all except ?
1. PaO2/FiO2<300
2. Acute onset
3. Bilateral alveolar infiltrates
4. PCWP>18 mm Hg

Correct answer: 4. PCWP>18 mm Hg

Explanation: Ref. API Textbook of Medicine. Pg. 259